Greenhouse gases are called as such because they -
1. Are used in warming plant growth chambers
2. Help inmaintaining atmosphereic O2 and CO2 balance
3. Ar produced by green photosynthesizing plants and are trapped in the earth's atmosphere
4. Prevent the escape of heat waves reradiated from the earth's surface

Correct answer: 4. Prevent the escape of heat waves reradiated from the earth's surface

Explanation: A greenhouse gas (sometimes abbreviated GHG) is a gas that absorbs and emits radiant energy within the thermal infrared range. Greenhouse gases cause the greenhouse effect. The primary greenhouse gases in Earth's atmosphere are water vapor, carbon dioxide, methane, nitrous oxide and ozone. Without greenhouse gases, the average temperature of Earth's surface would be about -18 degC (0 degF), rather than the present average of 15 degC (59 degF). The atmospheres of Venus, Mars and Titan also contain greenhouse gases. Ref : https://en.m.wikipedia.org/wiki/Greenhouse_gas